Intrauterine pressure is raised during labour to:
1. First stage -- 40-50 mm Hg
2. Second stage -- 100-120 mm Hg
3. Third stage -- 100-120 mm Hg
4. All of the above

Correct answer: 4. All of the above

Explanation: Ans. is d, i.e. All of the aboveIntrauterine pressure during labor:StagePressure* 1st* 40-50 mm Hg* 2nd* 100-120 mm Hg* 3rd* 100-120 mm Hg